The most common complication of modified ECT
1. Intracerebral bleed
2. Fracture spine
3. Body ache
4. Amnesia

Correct answer: 4. Amnesia

Explanation: Ans:D i.e. AmnesiaModified ECT-Both electricity and anesthetic agents and muscle relaxants are used to cause the convulsions. Methohexital is the most commonly used anesthetic.Common Complications:Memory disturbances-Retrograde amnesia(M/C)Headaches, muscle aches, fractures, tooth dislocationsProlonged seizures>180seconds